All are used in treating spasmodic dysmenorhoea except :
1. Bromocriptine
2. Ibuprofen
3. Mefanamic acid
4. Norethisterone and Ethinyl estradiol

Correct answer: 1. Bromocriptine

Explanation: Bromocriptine